Teduglutide is a recently introduced drug for Short Bowel Syndrome- What is it
1. GLP antagonist
2. Somatostatin analogue
3. H1 blocker
4. GLP- 2 analogue

Correct answer: 4. GLP- 2 analogue

Explanation: Teduglutide: GLP-2 Analogue:- * Randomized controlled trials have shown that teduglutide, a GLP-2 analogue that is resistant to degradation by the proteolytic enzyme dipeptidyl peptidase 4 and therefore has a longer half-life than GLP-2, is well tolerated and has led to the restoration of intestinal functional and structural integrity through significant intestinotrophic and pro absorptive effects. Ref:- Surgery Sixer 3rd Edition; Pg num:- 425